Which is of the following can be used safely in renal failure ?
1. Ciprofloxacin
2. Ofloxacin
3. Lomefloxacin
4. Pefloxacin

Correct answer: 4. Pefloxacin